A male patient in a tropical environment has eosinophilia during acute inflammatory episodes of his illness, but this is not considered to be the definitive diagnostic feature to determine what is causing his disease. Transmission of human parasites may occur via ingestion of contaminated food, water, snails, a variety of insects, and possibly even through pets or rat ectoparasites. Which of the following requires a mosquito for transmission?
1. Babesiosis
2. Bancroftian filariasis
3. Dog tapeworm
4. Guinea worm

Correct answer: 2. Bancroftian filariasis

Explanation: Wuchereria bancrofti is the cause of bancroftian filariasis or filarial elephantiasis. Control of the mosquito vectors (culex, anopheles, and Aedes) is the most significant mechanism to control human infections. A disease of the tropics and subtropics, adults live in the lymphatics of a host and cause lymph blockage of the feet, arms, genitals, and breasts. Enlargement of the affected body part (elephantiasis) can then occur. Babesiosis is caused by tick-borne Babesia microti. Leishmaniasis is spread by a sandfly (Phlebotomus) vector. Guinea worms (Dracunculus medinensis) has an aquatic life cycle involving copepods (water fleas). Dog tapeworms would routinely be transmitted by fecal contamination.